The triangular space bounded by the clitoris above, hymen below & laterally labia minora is
1. Fossa navicularis
2. Vestibule
3. Fourchette
4. Vulva

Correct answer: 2. Vestibule

Explanation: The Vestibule is the triangular surface which extends from the clitoris above to the anterior margin of the hymen below, and laterally to the labia minora. Anatomy of female Genitals: The labia majora are the two elongated folds of skin projecting downwards and backwards from the mons veneris. The labia minora (4 cm long) are two thin folds of skin just within the labia majora. The lower portions of labia minora fuse in midline and form a fold called fourchette. The depression between fourchette and the vaginal orifice is called fossa navicularis. The vestibule is the triangular surface which extends from the clitoris above to the anterior margin of the hymen below, and laterally to the labia minora. It is usually concealed by the labia. Vulva includes the mons veneris (pad of fat lying in front of the pubis), clitoris, labia majora and minora, Vestibule, hymen and urethral opening. The perineum is the wedge shaped area between the lower end of posterior wall of vagina and the anterior anal wall.